Aspirin in low doses produces long lasting inhibition of platelet cyclooxygenase because :
1. Platelet contain low quantity of COX
2. Platelets cannot synthesize fresh COX molecules
3. Platelets bind aspirin with high affinity
4. Platelet COX is inducible

Correct answer: 2. Platelets cannot synthesize fresh COX molecules